All are seen in Henoch Schonlein purpura except:
1. Thrombocytopenia
2. Glomerulonephritis
3. Arthralgia
4. Abdominal pain

Correct answer: 1. Thrombocytopenia

Explanation: a. Thrombocytopenia(Ref: Nelson's 20/e p 1216-1217Ghai 8/e p 632-633)Palpable purpura without thrombocytopenia is seen in Henoch Schonlein purpura (HSP)